For a screening test, 90% specificity means that 90% of non diseased persons will give a -
1. True negative result
2. True positive result
3. False negative result
4. False positive result

Correct answer: 1. True negative result

Explanation: a 90% specificity means that 90%of the non diseased persons will give "true negative result",10% of non diseased people screened by the test will be wrongly classified as ';diseased" when they are not. ref:park's textbook of preventive and social medicine,22nd edition,pg no 131